Adenomyosis is:
1. Endometriosis interna
2. Endometriosis externa
3. Uterine sarcoma
4. Leiomyoma

Correct answer: 1. Endometriosis interna

Explanation: Ans: a (Endometriosis internal) Ref: Shaw, 13th ed, p. 448; Robbins, 7th ed, p. 1083Adenomyosis (uterine endometriosis) is also called endometriosis interna.Commonest symptom of adenomyosis - MenorrhagiaCommonest symptom of endometriosis - DysmenorrhoeaPelvic examinationUterus symmetrically enlarged- SoftSize not more than 14 weeksInvestigation- USGHysteroscopy + curettageTreatment of choiceTotal hysterectomy (No role of hormone therapy)